The most common side effect of cancer chemotherapy is nausea with or without vomiting. The anticancer drugs vary in their ability to cause nausea and vomiting. Which of the following anti- cancer drugs is least likely to cause nausea and vomiting?
1. Chlorambucil
2. Cisplatin
3. Doxorubicin
4. Daunorubicin

Correct answer: 1. Chlorambucil

Explanation: Chlorambucil It is a very slow acting alkylating agent, especially active on lymphoid tissue: Myeloid tissue is largely spared. It is the drug of choice for long-term maintenance therapy for chronic lymphatic leukaemia; Hodgkin's disease and some solid tumours also resolve. It has some immunosuppressant property. >10% Neutropenia (25-33%) Anemia Leukopenia Thrombocytopenia Frequency Not Defined Seizures Hallucinations Peripheral neuropathy Nausea Vomiting Pulmonary fibrosis GI effects Leukemia Myelosuppression Hyperuricemia Infertility Hepatotoxicity & jaundice Type I hypersensitivity Rash Stevens-Johnson syndrome (rare) Toxic epidermal necrosis (rare) Urticaria Erythema multiforme (rare) Secondary malignancies. REFERENCE: www.medscape.com,ESSENTIALS OF MEDICAL PHARMACOLOGY (K.D.TRIPATHI, SIXTH EDITION, PAGE NO:822)